Atonic post partum hemorrhage occurs in all except :
1. Multiple pregnancy
2. Hydramnios
3. Erythroblastosis fetalis
4. Prolonged labour

Correct answer: 3. Erythroblastosis fetalis

Explanation: Erythroblastosis fetalis